Following admission to the emergency department, a 26-year-old woman with severe menorrhagia states that both her father and sister have a bleeding disorder. The hemostatic disorder transmitted by autosomal-dominant mode is which of the following?
1. Factor X deficiency
2. von Willebrand's disease
3. Factor VIII deficiency (true hemophilia)
4. Factor IX deficiency (Christmas disease)

Correct answer: 2. von Willebrand's disease

Explanation: von Willebrand disease is the most common hemostatic disorder transmitted by autosomal- dominant mode. Other disorders transmitted by this mode are hereditary hemorrhagic telangiectasia and factor XI deficiency. Diseases transmitted by an autosomal-recessive mode are factor X, factor V, factor VII, and factor I deficiencies. Factor VIII (true hemophilia) and factor IX (Christmas disease) deficiencies are sex-liked recessive.